A Patient with history of shortness of breath has Decreased FEV1/FVC Ratio, Normal DLCO. A 200 ml increase in baseline FEVI is observed 15 minutes after administration of bronchodilators. The likely diagnosis is
1. Asthma
2. Chronic Bronchitis
3. Emphysema
4. Interstitial Lung Disease

Correct answer: 1. Asthma

Explanation: Ans. is 'a' i.e., Asthma